sialorrhea is a side effect of
1. amisulpride
2. olanzapine
3. aripiprazole
4. clozapine

Correct answer: 4. clozapine

Explanation: CLOZAPINE * Importance * First SGA * TREATMENT FOR TREATMENT RESISTANT SCHIZOPHRENIA * TOC for TD * Anti suicidal * Psychosis in parkinsonian patients * Side effects * Agranulocytosis * Myocarditis * Seizure * Constipation * Weight gain * Metabolic syndrome Sialorrhea Ref. kaplon and sadock, synopsis of psychiatry, 11 th edition, pg no. 935